Penile buccal coitus is ?
1. Sadism
2. Fetichism
3. Fellatio
4. Cunnilingus

Correct answer: 3. Fellatio

Explanation: Ans. is 'c' i.e., Fellatio Buccal coitus (coitus per as/sin of gomorrah) In this, the male organ is introduced into mouth, usually of a young child. Fellatio is oral stimulation of penis by male or female. Cunnilingus is oral stimulation of female genitals.